The inverse stretch reflex is due
1. Trail fibre ending
2. Golgi tendon
3. Tail fibre ending
4. Muscle spindle

Correct answer: 2. Golgi tendon

Explanation: Golgi tendon